All are branches of the posterior cord of brachial plexus except -
1. Axillary nerve
2. Thoracodorsal nerve
3. Radial nerve
4. Long thoracic nerve

Correct answer: 4. Long thoracic nerve

Explanation: Branches of the cords
-        Lateral cord

Lateral pectoral nerve
Musculocutaneous nerve
Lateral root of median nerve

-        Medial cord

Medial pectoral nerve
Medial cutaneous nerve of arm
Medial cutaneous nerve of forearm
Ulnar nerve
Medial root of median nerve

-        Posterior cord

Upper and lower subscapular nerves
Thoracodorsal nerve
Axillary nerve
Radial nerve